Atria mortis other name for –
1. Gateways of life
2. Gateways of death
3. Gateways of air
4. Gateways of water

Correct answer: 2. Gateways of death

Explanation: Atria mortis is another name for gateways of death. It refers to circulatory, cerebral and respiratory system whose stoppage results in death.